Intra cellular calcification begins in which of the following organelles
1. Mitochondria
2. Golgi body
3. Lysosomes
4. Endoplasmic reticulum

Correct answer: 1. Mitochondria

Explanation: Ref : Robbins 9/e p65-66 Initiation of intracellular calcification occurs in the mitochondria of dead or dying cells that accumilate calicium